Which of the following clearly states the role of basal ganglia in motor function -
1. Planning
2. Gross movements
3. Co-ordination of movements
4. None of the above

Correct answer: 1. Planning

Explanation: The basal ganglia are involved in the planning and programming of movement or, more broadly, in the processes by which an abstract thought is converted into voluntary action.